Gout is NOT caused by which of the following :
1. Chlorthalidone
2. Sulfinpyrazone
3. Aspirin
4. Pyrazinamide

Correct answer: 2. Sulfinpyrazone

Explanation: Ans. is 'b' Sulfinpyrazone Sulfinpyrazone is a uricosuric drug which is used in the treatment of gout.Drugs causing hyperuricemia due to reduced uric acid excretion (Can cause gout)Pyrazinamide*Ethambutol*Diuretics*Cyclosporine*AlcoholLevodopaNicotinic acidAspirin* (Low dose)Chlorthalidone*